Which of the following diseases of the bone characteristically exhibits (in contrast to the other three conditions) a single lesion in a single bone?
1. Central giant cell granuloma
2. Osteopetrosis
3. Paget's disease of the bone
4. Polyostotic fibrous dysplasia

Correct answer: 1. Central giant cell granuloma